A patient has been allegedly bitten by cobra snake. The type of venom in such a bite would be:
1. Musculotoxic
2. Vasculotoxic
3. Cardiotoxic
4. Neurotoxic

Correct answer: 4. Neurotoxic

Explanation: Snake venom is the saliva of the snake. Cobra venom is faint transparent yellow, is slightly viscous and is mainly neurotoxic. Neurotoxins in the snake venom are neuromuscular nondepolarising blocking agents, which produce a curare like effect and cause paralysis, especially of respiratory centre. Ref: The Essentials of Forensic Medicine and Toxicology By Dr K S Narayan Reddy, 27th Edition, Pages 493-5